Thyroid cancer associated with radiation exposure?
1. Medullary
2. Papillary
3. Follicular
4. Anaplastic carcinoma

Correct answer: 2. Papillary

Explanation: Ans. (b) PapillaryRef: Bailey & Love 26th ed. / 763-64* Ionizing radiation can cause genetic mutations leading to malignant transformation.* This association is much stronger for thyroid cancer than for other malignancies, and radiation is the only well-established environmental risk factor for thyroid malignancy.* The risk of developing thyroid cancer after exposure to radiation is greater in those exposed during childhood and increases with higher doses of radiation delivered to the thyroid. This is true for exposure to ionizing radiation given for medical purposes and for environmental exposures.* The association with radiation is much stronger for papillary than for follicular cancer.